Bronchogenic carcinoma commonly metastasise to which endocrine organ -
1. Ovaries
2. Testes
3. Thyroid
4. Adrenals

Correct answer: 4. Adrenals